Cardiac output is increased in
1. Sleep
2. Pregnancy
3. Sitting
4. Standing

Correct answer: 2. Pregnancy

Explanation: Conditions that increase cardiac output exercise Anxiety Emotion and excitement Increased environmental temperature After eating Pregnancy Conditions that decrease cardiac output standing from lying posture Excessive sweating. Conditions that do not change cardiac output sleep Mild to moderate change in environmental temperature Ref: TEXTBOOK OF MEDICAL PHYSIOLOGY GK PAL VOLUME 2 PAGE 788